60 year old women suffers a fall, lower limb is extended and externally rotated likely diagnosis
1. Acetabular fracture
2. Posterior dislocation of Hip
3. Fracture neck femur
4. Fracture shaft of femur

Correct answer: 3. Fracture neck femur